The accurate method of diagnosis of gastroesophageal reflux disease (GORD) is -
1. Barium swallow
2. Endoscopy
3. 24 hour pH monitoring
4. Oesophageal manometry

Correct answer: 3. 24 hour pH monitoring